Treatment of congenital hydrocele is
1. Herniotomy
2. Excision of sac
3. Eversion of sac
4. Jaboilays procedure

Correct answer: 1. Herniotomy

Explanation: Congenital hydrocele is due to patent processus vaginalis. 
Herniotomy is the option. Infantile hydrocele is treated by excision of sac followed by eversion.